The following infection resembles malignancy ?
1. Echinococcus granulosus
2. E. multilocularis
3. E.vogeli
4. E. oligarthus

Correct answer: 2. E. multilocularis

Explanation: Ans. is 'b i.e., E. multilocularis The chief character of E. multilocularis cyst is its tendency to proliferate, thereby resembling a neoplasm.